Synthesis of enamel matrix proteins occurs in the
1. Outer enamel epithelium
2. Ameloblast
3. Stratum intermedium
4. Stratum granulosum

Correct answer: 2. Ameloblast